Paraproteinemias associated with -
1. Pathological fracture
2. Visual disturbances
3. Peripheral neuropathy
4. All

Correct answer: 4. All

Explanation: Ans. is 'a' i.e., Pathological fracture; 'b' i.e., Visual disturbances; 'c' i.e., Peripheral neuropathyParaproteinemiao Paraproteinemia is a plasma cell disorder characterized by the presence of excessive amounts of a single monoclonal immunoglobulin.o So, it is also known as monoclonal gammopathy.o Examples of paraproteinemias : -(i) Multiple myeloma (iv) Primary or immunocyte-associated amyloidosis(ii) Waldenstroms macroglobulinemia (v) Cryoglobulinemia(iii) Heavy chain diseaseo Bony pain and pathological facture is seen in paraproteinemia is due to proliferation of tumour cells and activation of osteoclast.o Visual disturbance, weakness, and headache occur due to hyperviscosity.o Peripheral neuropathy, carpal tunnel syndrome and other sensorimotor, mono- and polyneuropathies is due to infiltration of amyloids.o Substantial mobilization of calcium from the bone causes hypercalcemia. It is most serious complication of multiple myeloma.o Clotting abnormality is due to failure of antibody coated platelet to function properly.o Other features are cord compression, sepsis, hypercalcemia and hyperviscosity present as medical emergency.